Refractive surgery most commonly performed for myopia -
1. Radial keratotomy
2. LASIK
3. Photorefractive keratectomy
4. Lensectomy

Correct answer: 2. LASIK

Explanation: Ans. is 'b' i.e., LASIKTreatment of myopiao Treatment includes non-surgical or surgical methods.Non-surgical: - Most commonly used method for treatment of myopia is correction by concave (divergent or minus) lens. These may be spectacles (most commonly used method for low myopia i.e., < -3D) or contact lens. Keep in mind that though most commonly used method is spectacles, the preferred treatment is contact lens.Refractive surgery : - The most common procedures are performed with an excimer laser. LASIK is the most commonly used procedure.Orthokeratology: - is a non-surgical procedure where special contact lenses are worn that slowly reshape the cornea over time to correct myopia.o High myopia is defined as myopia > -6 D. Treatment of choice for high myopia is contact lens. LASIK is an alternative.